In bronchial asthma glucorticoids -
1. Act as potent bronchodilators
2. Reduce airway inflammation
3. Inhibit degranulation of mast cells
4. Block the action of humoral mediators

Correct answer: 2. Reduce airway inflammation